Most common cause of isolated splenic metastasis is:
1. Carcinoma pancreas
2. Carcinoma stomach
3. Carcinoma ovary
4. Carcinoma cervix

Correct answer: 3. Carcinoma ovary

Explanation: Causes of isolated splenic metastasis: Carcinoma Ovary (27%) > Colorectal carcinoma (26%) > Uterine cancer (17%) MC primary for metastasis of spleen: Malignant melanoma (30-50%) > Ca Breast (21%) > Ca lung (18%)